Type of collagen maximum in skin:-
1. Type I
2. Type II
3. Type III
4. Type IV

Correct answer: 1. Type I

Explanation: Collagen - the most abundant protein in mammals contains 4-hydroxyproline and 5-hydroxylysine. Vitamin C plays the role of a coenzyme in hydroxylation of proline and lysine while protocollagen is converted to collagen The hydroxylation reaction is catalysed by lysyl hydroxylase (for lysine) and prolyl hydroxylase (for proline) This reaction is dependent on vitamin C, molecular oxygen and a-ketoglutarate Type Distribution I Noncartilaginous connective tissues, including bone, tendon, skin II Cartilage, vitreous humor III Extensible connective tissues, including skin, lung, vascular system IV Basement membranes